All are temporary social groups except
1. Crowd
2. Mob
3. Herd
4. Band

Correct answer: 4. Band

Explanation: Crowd,mob and herd are temporary social groups.Band is a permanent social group. Ref:p.738 25th edition Park's Textbook of Preventive and Social Medicine